E-cadherin mutation is seen in metastasis of which type of breast carcinoma
1. Infiltrative ductal Ca
2. Lobular Ca
3. Metaplastic Ca
4. Medullary Ca

Correct answer: 2. Lobular Ca

Explanation: Answer- B. Lobular CaMutation in gene encoding for E-cadherin (CDH-I) is associated with gastric carcinoma and lobular breast carcinoma.Detachment of tumor cells is thefrst step tn metastasis. Normally cells are glued to each other by adhesion moleculesE-cadherin. Normal function of E-cadherin is dependent on catenins that helps in linkage of cytoskeleton to E-cadherin.Down regulation of expression of either E cadherins or catenins results looseining of cells that helps ln metastasis.